Lesions of the posterior column causes-
1. Ataxia
2. Anaesthesia
3. Rigidity
4. Paralysis

Correct answer: 1. Ataxia